Clinical manifestations of bronchogenic carcinoma include the following except-
1. Hoarseness of voice due to involvement of left recurrent laryngeal nerve
2. Homer's syndrome
3. Diaphragmatic palsy due to infiltration of phrenic nerve
4. Gastroparesis due to vagal involvement

Correct answer: 4. Gastroparesis due to vagal involvement